Which of the following is characterically not associated with the development of interstial lung disease
1. Organic dusts
2. Inorganic dusts
3. Toxic gases
4. None

Correct answer: 4. None

Explanation: All the mentioned are associated with interstial lung disease Interstitial lung disease may be caused by long-term exposure to hazardous materials, such as asbestos or coal dust, or it can be caused by an auto-immune disease such as rheumatoid arthritis. Once lung scarring occurs, it's generally irreversible.